Radiolucent periapical lesions have the following except
1. Absence of lamina dura
2. Hanging drop of oil effect
3. Opaque diffuse appearance
4. No movement on cone shift

Correct answer: 3. Opaque diffuse appearance

Explanation: The features of periapical inflammatory lesions vary depending on the time course of the lesion. More chronic lesions may show lytic (radiolucent) or sclerotic (radiopaque) changes, or both. The lamina dura around the apex of the tooth usually is lost. 
In most instances, the periphery of periapical inflammatory lesions is ill defined, showing a gradual transition from the surrounding normal trabecular pattern into the abnormal bone pattern of the lesion. In chronic cases, the new bone formation may result in a very dense sclerotic region of bone, obscuring individual trabeculae. 
 
Oral radiology ; White and Pharaoh 7th edition page no 316-317